Weight of liver
1. 600-800 gm
2. 1000-1200gm
3. 1400-1600gm
4. 1800-2000gm

Correct answer: 3. 1400-1600gm

Explanation: A human liver normally weighs 1.44-1.66 kg or1400 - 1600gm. It is both the heaviest internal organ and the largest gland in the human body. ref - BDC 6e Vol2 pg304